The histiocytosis X is a spectrum of disorders, which include the following condition
1. Eosinophilic granuloma
2. Hand Schuller - Christian disease
3. Letterer - Siwe disease
4. All of the above

Correct answer: 4. All of the above